The main component of hyperlipidemia constituting a major risk factor for atherosclerosis is
1. high density lipoprotein (HDL) cholesterol
2. intermediate density lipoprotein (IDL) Cholesterol
3. low density lipoprotein (LDL) cholesterol
4. very low density lipoprotein (VLDL) cholesterol

Correct answer: 3. low density lipoprotein (LDL) cholesterol